Respiratory acidosis is characterized by primary:
1. Deficit of carbonic acid
2. Excess of carbonic acid
3. Deficit of bicarbonate
4. Excess of bicarbonate

Correct answer: 2. Excess of carbonic acid

Explanation: Respiratory acidosis is caused by CO2 retention - excess carbonic acid.